The penaz technique
1. Is invasive
2. Uses plethysmography
3. Does not require a pneumatic cuff
4. Is suitable in presence of peripheral vascular disease

Correct answer: 2. Uses plethysmography

Explanation: Penaz technique is a continuous non-invasive method of BP monitoring. Infra-red plethysmograph is mounted on the pneumatic cuff.